Which of the following artery is not a terminal branch of coeliac trunk ?
1. common hepatic artery
2. left gastric artery
3. splenic artery
4. gastroduodenal artery

Correct answer: 4. gastroduodenal artery

Explanation: The coeliac trunk arises from the front of the abdominal aorta just below the aortic opening of the diaphragm at the level of the disc between vertebrae thoracic twelve and first lumbar. The trunk is only about 1.25 cm long. It ends by dividing into its three terminal branches, namely the left gastric, hepatic and splenic arteries. Ref : B D Chaurasia's Human Anatomy ,seventh edition , volume 2 , pg. no., 302 ( fig. 21.3 to 21.5 ).